Cycle of microfilarea in mosquito -
1. Cyclo-developmental
2. Cyclo-propagative
3. Propagative
4. Cyclical

Correct answer: 1. Cyclo-developmental

Explanation: Ans. is 'a' i.e., Cyclo-developmental o Has been explaied in All India Dec-15